The complication that can occur with internal podalic version for transverse lie:
1. Uterine rupture
2. Uterine atony
3. Cervical laceration
4. Vaginal alceration

Correct answer: 1. Uterine rupture

Explanation: Ans. is a, i.e. Uterine ruptureRef. Dutta Obs. 9/e, p 543, Munrokerr 100/e, p 292Internal podalic version (IPV):In modern obstetrics, there is no place for this procedure in a singleton pregnancy.Internal podalic version is only used for the second twin when it is lying transversely and external version failsQ.Prerequisites for IPV:The membranes should be intact or very recently ruptured in other words liquor should be adequate.The cervix should be fully dilated.Fetus must be living.Anesthesia: General anesthesiaQ (halothane).Contraindications:Obstructed laborQMembranes ruptured with all the liquor drainedPrevious cesarean section even if it is LSCS.Contracted pelvis.Complications:MaternalFetalPlacental abruptionAsphyxiaRupture uterusCord prolapseIncrease morbidityIntracranial hemorrhage